Vision 2020 - The Right to Sight do not include :-
1. Centres for Vision - 20
2. Training Centres - 200
3. Service Centres - 2000
4. Vision Centres - 20,000

Correct answer: 1. Centres for Vision - 20

Explanation: VISION 2020: The Right to Sight- was launched in 1999 - Centres of excellence-20 - Training centres-200 - Service centres-2000 - Vision centres-20,000 - Main aim of vision-2020 is to eliminate all causes of avoidable blindness, i.e Preventable blindness - Vit A deficiency , trachoma Curable blindness - cataract